Splenic vein thrombosis is best treated by -
1. Splenectomy
2. Porto-caval shunt
3. Spleno-renal shunt
4. Mesenterico-caval shunt

Correct answer: 1. Splenectomy

Explanation: • Portal hypertension due to isolated splenic vein thrombosis is known as left sided portal hypertension or sinistral hypertension.
• Pressure in portal vein and SMV are normal
• There is gastrosplenic venous hypertension leading to formation of gastric varices
Causes
• Pancreatitis (MC)  leading to splenic vein thrombosis
• Neoplasm, Trauma
Treatment
• Splenectomy is the treatment of choice